Dermatomyositis test of choice -
1. CPK
2. 24hr urine creat
3. SGOT
4. SGPT

Correct answer: 1. CPK

Explanation: Ans is 'a' i.e., CPK Investigations for Dermatomyositiso Muscle enzymes CPK Elevation (mostsensitive), aldolase elevation, myoglobin levation, 24 urinary creatine excretion.o Autoantibodies ANA antibodies, anti Jo-i (20% cases), anti- Mi-2 (5-10%)o Others ESR, RF factor, skin & muscle biopsy, EMG